Most commonly used Piezoelectric crystal is
1. Quartz
2. Lead zirconate
3. Barium zirconate
4. Titanium

Correct answer: 2. Lead zirconate

Explanation: Most Commonly used Piezoelectric Crystal in Ultrasound probe is Lead Zirconate Titanate. Quartz is a natural piezoelectric crystal. Piezoelectric Crystals convert electrical energy into sound waves and sound waves back into electric current. Ultrasound transducers act as both transmitter and receiver. Other important points for USG: - USG uses Harmonic imaging (better image quality) - USG uses Pulse echo principle - Frequency of USG waves in USG is 2-20 MHz NOTE Lead Lead is m/c agent used for radiation shielding. Lead aprons safeguard workers from effects of scattered radiations TLD badgesthat are worn under the aprons, to monitor radiation dose are made up of Lithium flouride/dysprosium. Walls and glass of CT scan room are made up of lead.